Which of the following extrapyramidal effect is seen on chronic use of antipsychotic?
1. Dystonia
2. Akathisia
3. Tardive dyskinesia
4. Parkinsonism

Correct answer: 3. Tardive dyskinesia

Explanation: Ans.C.Tardive dyskinesia Involuntary frowning, sticking out of the tongue, puckering, pursing, lip-smacking movements are seen in tardive dyskinesia due to chronic antipsychotic usage.Consider drug cessation or switch to an atypical antipsychotic in all patients.